All are true about Embolic Arterial occlusion except-
1. No previous history
2. Muscles are unaffected
3. Pulse is absent
4. Anaesthesia is present

Correct answer: 2. Muscles are unaffected